Drug of choice for cheese reaction is
1. Prazosin
2. Phentolamine
3. Pentazocine
4. Phenoxybenzamine

Correct answer: 2. Phentolamine

Explanation: Phentolamine is the drug of choice in CHEESE REACTION It is a rapidly acting alpha blocker with short duration of action (in minutes). It is non selective alpha blocker therefore blocks both alpha 1 and 2 Non Selective a Blockers Selective a1 Blockers Irreversible - Phenoxybenzamine - Used for pheochromocytoma Reversible - Phentolamine, Tolazoline,ergotamine - DOC for cheese reaction and clonidine withdrawal Prazosin Terazosin Doxazosin Alfuzosin - These drugs are used for BHP and HTN. - Also used for scorpion sting